Which structure's infarction can give rise to left hypesthesia, left homonymous hemianopia,left facial weakness, tongue deviation to the left side, and plantar extensor on the left side?
1. Left internal capsule
2. Left pulvinar
3. MGB
4. Right internal capsule

Correct answer: 4. Right internal capsule

Explanation: Infarction of the internal capsule gives rise to contralateral symptoms. Thus, infarction to the right internal capsule would result in left-sided symptoms, including Tactile hypesthesia, Contralateral anesthesia, Contralateral hemiparesis (with the Babinski sign), Contralateral lower facial weakness, and Contralateral homonymous hemianopia.